All are vector born diseases except ?
1. KFD
2. JE
3. Brucella
4. Plague

Correct answer: 3. Brucella

Explanation: Ans. is 'c' i.e., Brucella In vector born diseases, an ahropad or any living carrier acts as a vector and transports an infectious agent to susceptible individual. KFD, JE, and plague are transmitted by arthropods.